The main excitatory neurotransmitter in the CNS is
1. Glycine
2. Acetylcholine
3. Aspartate
4. Glutamate

Correct answer: 4. Glutamate

Explanation: Glutamate is the chief excitatory neurotransmitter in CNS.